The following condition is not associated with an increased anion-gap type of metabolic acidosis
1. Shock
2. Ingestion of ante-freeze
3. Diabetic ketoacidosis
4. COPD

Correct answer: 4. COPD

Explanation: Ref: Harrison’s 18/e p369, 17/e p292
 
In COPD blood pH is usually maintained within normal range in spite of increased PaCO2 because of renal compensation which leads to retention of bicarbonates